Sequestrated lung is supplied most commonly by -
1. Bronchial arteries
2. Descending aorta
3. Subclavian artery
4. Intercostal arteries

Correct answer: 2. Descending aorta